Inverse agonist of benzodiazepine receptor is -
1. Phenobarbitone
2. Flumazenil
3. Beta carboline
4. Gabapentin

Correct answer: 3. Beta carboline

Explanation: Ans. is `c' i.e., Beta carboline